In increased ICT, agent used for anesthesia
1. N20
2. Trilene
3. Ether
4. Isoflurane

Correct answer: 4. Isoflurane

Explanation: D i.e. Isoflurane